Henoch Schonlein Purpura presents with deposition of
1. IgG
2. IgM
3. IgA
4. IgE

Correct answer: 3. IgA

Explanation: Answer is C (IgA) The most common class of antibodies deposited in immune complexes of Henoch Schonlein Purpura is IgA.